Large way vegetation are characteristic of?
1. SLE
2. SABE
3. Both
4. None

Correct answer: 2. SABE

Explanation: Ans. is 'b' i.e., SABE